All of the following drugs are documented to be porphyrinogenic EXCEPT:
1. Estrogen therapy
2. Carbamezapine
3. Phenytoin
4. Aspirin

Correct answer: 4. Aspirin

Explanation: Aspirin is not a porphyrinogenic drug. There is a very exhaustive list of drugs given in the table from Harrison; I am giving some important drugs! Carbamezapine , chloramphenicol, clindamycin Dihydroergotamine , droperidol Hydralazine Fosphenytoin Indinavir Ketamine, ketoconazole Lidocaine Medroxyprogesterone , mifepristone , Nitrofurantoin, norethistronate Phenobarbitone, phenytoin Rifampicin Spirinolactone Taxmoxifem, testosterone Valproate